A 17-year-old girl presents to the emergency department with a stab wound to the abdomen in the anterior axillary line at the right costal margin. BP is 80/50 mm Hg, PR is 120 bpm, and RR is 28 breaths per minute. Two large-bore IV lines, a nasogastric tube, and a Foleys catheter are inserted. BP rises to 90/60 mm Hg after 2 L of Ringer's lactate. The appropriate management is which of the following?
1. Peritoneal lavage
2. Ultrasound of the abdomen
3. Laparoscopic assessment of the peritoneal cavity
4. Exploratory laparotomy

Correct answer: 4. Exploratory laparotomy

Explanation: A patient without other sources of blood loss who presents to the emergency department with a stab wound to the abdomen and in shock should have an expeditious exploratory laparotomy. The other tests will waste precious time and are contraindicated in a patient in shock.